Anemia of chronic disease is characterized by all, except -
1. Decreased serum iron
2. Increased total iron binding capacity (TIBC)
3. Increased serum ferritin
4. Increased macrophage iron in bone marrow

Correct answer: 2. Increased total iron binding capacity (TIBC)

Explanation: In anemia of chronic disorder , there is defective red cell production & reduced red cell life span.

Laboratory findings include reduced serum iron, low to normal TIBC,raised serum ferritin,& bone marrow examination reveals normal erythroid maturation with red cell precursor having reduced stainable iron than normal , while macrophages in the marrow containing increased amount of iron.

Reference : Harsh mohan textbook of pathology 6th edition pg no 302